True about bar chart
1. Width of the bar is proportional to representative values
2. Used for quantitative data
3. Same as histogram
4. Rectangular bars are used to represent the data

Correct answer: 4. Rectangular bars are used to represent the data

Explanation: Ref:Park's Textbook of Preventive and Social Medicine 25th Ed